Delirium is defined as ?
1. Acute onset of disturbed consciousness
2. Chronic onset of disturbed consciousness
3. Progressive generalized impairment of intellectual functions and memory without impairment of consciousness
4. Disorientation without clouding of consciousness

Correct answer: 1. Acute onset of disturbed consciousness

Explanation: Ans. A. Acute onset of disturbed consciousnessDelirium is defined by the acute onset of fluctuating cognitive impairment and a disturbance of consciousness.It is also referred to as acute confusional state or acute organic brain syndrome.